Multinucleated giant cells are seen in smear from the lesions of:
1. Poliovirus
2. Herpes simplex virus
3. Rabiesvirus
4. HIV

Correct answer: 2. Herpes simplex virus

Explanation: Ans. B i.e. Herpes simplex virus Herpes simplex and herpes zoster viruses cause abnormal cell division in epidermal cells, and this creates multinucleated giant cells. These are epidermal cells that are much larger than the normal epidermal cells, and they contain multiple nuclei.